In Medullary Carcinoma thyroid Tumour marker is?
1. TSH
2. Calcitonin
3. T3, T4 and TSH
4. Alpha Feto protein

Correct answer: 2. Calcitonin

Explanation: Ans is B ie calcitonin Schwartz Surgery writes ? The presence of amyloid is a diagnostic finding, but immunohistochemistry for calcitonin is more commonly used as a diagnostic tumor marker. These tumors also stain positive for CEA (Carcinoembryonic antigen) and CGRP (Calcitonin gene-related peptide)"